A homonymous upper quadrantic field defect is typical of lesion in -
1. Parietal lobe
2. Temporal lobe
3. Occipital lobe
4. Optic chiasma

Correct answer: 2. Temporal lobe

Explanation: Superior quadrantanopia is characteristic visual field defect of lesion of inferior fibres of optic radiation in temporal lobe.
Superior quadrantanopia may also occur in early pituitary tumor however, it is not the characteristic defect of chiasmatic lesion.